Paranasal sinuses are affected by both benign and malignant neoplasms. Commonest benign tumour of paranasal sinuses are:
1. Angiofibroma
2. Adenocarcinoma
3. Osteomas
4. Burkitt's lymphoma

Correct answer: 3. Osteomas

Explanation: Osteomas are the most common tumors of the paranasal sinuses. They are most commonly seen in the frontal sinus followed in turn by those of ethmoid and maxillary. They may remain asymptomatic. Treatment is indicated when they become symptomatic.